Bleeding from peptic ulcer most commonly involve
1. Gastroduodenal artery
2. Left gastric artery
3. Splenic artery
4. Short gastric artery

Correct answer: 1. Gastroduodenal artery

Explanation: Bleeding peptic ulcer MC indication for operation and principal cause of death in PUD patients The most significant hemorrhage occurs when duodenal or gastric ulcers penetrate into branches of the gastroduodenal artery or left gastric artery, respectively Incidence of peptic ulcer bleeding decreased over past decade, but Mortality was stable for both gastric and duodenal ulcer bleeding, higher in patients of advanced age Cause of death: Multiple system organ failure (not the exanguinating hemorrhage) Treatment Irrigation with room temperature saline to lyse red cells in an effort to return clear fluid and to allow for the performance of endoscopy Figure of eight suture to Ligate the gastroduodenal artery. A 'U' stich is placed in the base to occlude pancreatic branches of the gastroduodenal artery Truncal vagotomy and pyroplasty is the most frequently used operation for bleeding duodenal ulcer Ref: Sabiston 20th edition Pgno : 1202-1203